Castleman's disease is associated with defect in:
1. IL 1
2. IL 4
3. IL 6
4. IL8

Correct answer: 3. IL 6

Explanation: Castleman's disease histologically, a condition that has been linked to IL-6 overproduction. The endocrine manifestations include amenorrhea in women and impotence and gynecomastia in men. Hyperprolactinemia due to loss of normal inhibitory control by the hypothalamus may be associated with other central nervous system manifestations such as papilledema and elevated cerebrospinal fluid pressure and protein. Type 2 diabetes mellitus occurs in about one-third of patients. Hypothyroidism and adrenal insufficiency are occasionally noted. Ref: Harrison's principle of internal medicine 17th edition, chapter 102.